Biomedical waste when mixed with cement is known as
1. Incineration
2. Autoclaving
3. Inertization
4. Shredding

Correct answer: 3. Inertization